Which of the following is false about drugs given in urinary incontinence
1. Darifenacin is a selective M3 antagonist
2. Flavoxate, Oxybutynin, Tolterodine are  muscarine receptor blockers used to decrease detrusor muscle contraction
3. Tolterodine can be given as tansdermal patch
4. Trospium is a quartenery amine with no CNS side effects

Correct answer: 3. Tolterodine can be given as tansdermal patch

Explanation: Oxybutynin can be given as transdermal patch, not Tolterodine.